Trachea bifurcates at-
1. T4-T5
2. T5-T6
3. T6-T7
4. t7-t8

Correct answer: 1. T4-T5

Explanation: Ans. is 'a' i.e. T4-T5 Trachea extends from the lower border of cricoid cartilage opposite C6 to the upper border of TyLength of trachea - 10-11 cm*